A 67-year-old man with a history of hypertension, hyperlipidemia and tobacco use has been diagnosed with infra-renal aortic aneurysm of size 3 X 3.5 cm. Which is best suited for this patient?
1. Endovascular stenting of an aneurysm
2. Serial follow up with MRI, major determinant of surgery being renal artery involvement
3. Serial follow up with MRI, initiate statins and major determinant of surgery being size greater than 5.5cm
4. Serial follow up with MRI, initiate Statins and operate only in case of acute anginal pain

Correct answer: 3. Serial follow up with MRI, initiate statins and major determinant of surgery being size greater than 5.5cm

Explanation: Indications for surgery of AAA Size of AAA exceeds >= 5.5cm Rapid expansion Onset of symptoms. Endovascular stent grafts for infra-renal AAA are achieving success in selected patients. Choice D is a close option but waiting for symptoms to appear would not a be logical step.